Drug of choice for pregnant female suspected of having a baby with congenital adrenal hyperplasia is
1. Dexamethasone
2. Betamethasone
3. Hydrocortisone
4. Predinsolone

Correct answer: 1. Dexamethasone

Explanation: Dexamethasone is very potent and highly selective glucocorticoid to be started before 10 weeks of gestation to suppress fetal androgen production effectively It has a long duration of action and cause marked pituitary-adrenal suppression. DOC for CAH is hydrocortisone but DOC for pregnant women having baby with CAH - dexamethasone REF.Essential of medical pharmacology K D TRIPATHI 6 Edition, Page No - 283